Which of the following is produced sexually ?
1. Ascospore
2. Conidium
3. Oidium
4. Yeast buds

Correct answer: 1. Ascospore

Explanation: Ans. is 'a' i.e., Ascospore